All of the following are side effects of growth hormone (supplements) therapy except
1. Slipped capital femoral epiphysis
2. Gynaecomastia
3. Hypoglycemia
4. Pseudotumour cerebri

Correct answer: 3. Hypoglycemia

Explanation: Ans. c. Hypoglycemia